Which one of the following statements is false:
1. The presence of ingested erythrocytes is seen only in Entamoeba histolytica
2. Young adult male of low socioeconomic status are most commonly affected by invasive amoebiasis
3. A low Iron content in the diet predisposes to invasive amoebiasis
4. The pathogenic and nonpathogenic strains of E. histolytica can be differentiated by the electrophoretic study of zymodemes

Correct answer: 3. A low Iron content in the diet predisposes to invasive amoebiasis

Explanation: A low iron content in the diet predisposes to invasive amoebiasis is a false statement.